Steroid refractory ulcerative colitis is said to be present in a patients who have active disease despite:
1. Prednisolone up to 0.5 mg/kg/day over a period of 4 weeks
2. Prednisolone up to 0.75 mg/kg/day over a period of 4 weeks
3. Prednisolone up to 1 mg/kg/day over a period of 4 weeks
4. Prednisolone up to 1.5 mg/kg/day over a period of 4 weeks

Correct answer: 2. Prednisolone up to 0.75 mg/kg/day over a period of 4 weeks

Explanation: Patients with ulcerative colitis who have active disease despite prednisolone up to 0.75 mg/kg/day over a period of 4 weeks is called steroid refractory. Also know: Steroid-dependent colitis Unable to reduce steroids below the equivalent of prednisolone 10 mg/day within 3 months of starting steroids, without recurrent active disease, or Those who have a relapse within 3 months of stopping steroids. Ref: Journal of Crohn's and Colitis (2012) 6, 965-990